Arsenic poisoning presents with symptoms mimicking -
1. Cholera
2. Dhatura poisoning
3. Barbiturates poisoning
4. Morphine poisoning

Correct answer: 1. Cholera

Explanation: Arsenic poisoning present with symptoms mimicking cholera. The differences are -